Which of the following is not a derivative of the middle ear cleft ?
1. Semicircular canal
2. Mastoid air cell
3. Tympanic cavity
4. Eustachian tube

Correct answer: 1. Semicircular canal

Explanation: Ans. is 'a' i.e., Semicircular canal The middle - ear cleft in the temporal bone includes :? Eustachian tube The middle ear (tympanic cavity) Aditus which leads posteriorly to the mastoid antrum and air cells.